All of the following are dimorphic fungi, except:
1. Sporotricum
2. Blastomycetes
3. Histoplasma
4. Cryptococcus

Correct answer: 4. Cryptococcus

Explanation: Ans. d. Cryptococcus